Most common cause of lymphedema  of upper limb is
1. Filariasis
2. Bacterial infection
3. Congenital
4. Post mastectomy

Correct answer: 4. Post mastectomy